The important fatty acid present in breast milk which is important for growth is
1. Docosahexaenoeic acid
2. Palmitic acid
3. Linoleic acid
4. Linolenic acid

Correct answer: 1. Docosahexaenoeic acid

Explanation: Breast milk is rich in docosahexaenoic acid. It is necessary for the myelination of the nervous system and thus helps in brain development. Ref: Page 151; Ghai Essential Pediatrics; 8th edition